Double shadow behind right atrium and straightening of left main bronchus indicates -
1. Right atrium enlargement
2. Right ventricle enlargement
3. Left atrium enlargement
4. Left ventricle enlargement

Correct answer: 3. Left atrium enlargement

Explanation: Left atrial enlargement presents radiologically with elevation of left main bronchus ( earliest feature ) ,splaying or widening of carina ,displacement of oesophagus posteriorly ,double Right heart border and prominent left atrial appendage